Not present in DNA
1. Uracil
2. Thymine
3. Cystosine
4. Adenine

Correct answer: 1. Uracil

Explanation: Repeated question